A partial agonist has:
1. High affinity but low intrinsic activity
2. High affinity but no intrinsic activity
3. Low affinity but high intrinsic activity
4. Low affinity and low intrinsic activity

Correct answer: 1. High affinity but low intrinsic activity

Explanation: Affinity Affinity Intrinsic Activity Agonist High High Partial agonist High Low Inverse agonist High Negative Antagonist High No